Immunoglobulin that crosses to the fetus from mother
1. IgG
2. IgM
3. IgD
4. IgE

Correct answer: 1. IgG

Explanation: IgG can cross placental barrier, and protects the newborn child from infections. These maternal antibodies are seen in neonatal circulation upto 2-4 months. Placental crossing of IgG explains the Rh isoimmunization. This occurs when mother is Rh negative, and fetus is Rh positive, and when ABO system antigens are similar to both mother and fetus. Ref: D M Vasudevan 7th edition Page no: 688, 689